Omaiizumab is used for -
1. Rheumatoid arthritis
2. Asthma
3. Prostate cancer
4. CLL

Correct answer: 2. Asthma

Explanation: Ans. is 'b' i.e., Asthma o There are two major steps in the pathopvsiology of Asthma -Persistent inflammatory process in response to a number of stimuli.Bronchoconstriction - due to inflammatory process bronchi become hyperreactive,o So the two groups of drug can be used in Asthma.Drugs that decrease bronchial inflammation and hyperreactivity.Drugs which counter act the bronchospams - bronchodilators.Drugs used in asthmaBronchodilatorsDrugs reducing inflammation Leukotriene antagonistsMast cell stabilizersCorticosteroidsAnti-IgE antibodya)b2 Svmpathomimeticso Montelukasto Sodium cromoglycatea) Systemico Omalizumabo Salbutamolo Terbutalineo Zafirlukasto Ketotifeno Hydrocortisone o Bambuteralo Salmeterol o Prednisoloneo Formoterolo Ephedrineb)Inhalationb)Methy!xanthineso Bedcmethasomeo Theophyllineo Aminophvilineo Budesonideo Doxophyllineo Fluticasonec) Anticholinergicso Flunisolideo Ipratropiumo Tiopratropiumo CiclesonideNote - Few drugs have been added in this chapter of 6th/e of KDT.Oclesonideo It is an inhalation steroid.o It is a prodrug that is cleaved by esterases in bronchial epithelium to release active moiety.Cilomilast, Roflumilast, Tofimilasto Selective PGE4 inhibitors are under clinical evaluation as antiasthma drugs.Omalizumabo It is humanized monoclonal antibody against IgE.o i.v. or S.C. administration neutralizes free IgE in circulation without activating mast cells and other inflammatory cells.o In severe extrinsic asthma, amalizumab has been found to reduce excerbations and steroid requirement,o It is very expensive; use is reserved for resistant asthma patients with positive skin tests or raised IgE levels who require frequent hospitalization.1-enantiomer of salbutamol has also been marketed. It is more potent and produce fewer side effects.